Which of the following statements is true regarding retrosternal goiters?
1. Operated only if patient is symptomatic
2. Sternal incision is always required
3. Majority of the giotres derive their blood supply from mediastinal vessels
4. Majority of the retrosternal giotres can be removed by a neck incision

Correct answer: 4. Majority of the retrosternal giotres can be removed by a neck incision

Explanation: Retrosternal goiter / substernal goiter / Mediastinal goiter Majority(>95%) of the retrosternal goitres can be removed by a neck incision If > 50% of thyroid tissue is located below the opening of thoracic cage MC symptom - Dyspnea Dysphagia Hoarseness of voice Dilated veins over Anterior chest wall. PEMBEON sign- positive If bilateral upper limb elevated above forehead, facial puffiness and facial congestion seen